True about mesenteric cyst are all Except:
1. Chylolymphatic is the most common type
2. Enterogenous is second most common type
3. Seen most commonly in males
4. Treatment of choice for enterogenous is resection + anastomosis

Correct answer: 3. Seen most commonly in males

Explanation: Chylolymphatic is the most common type of mesenteric cyst. Enterogenous mesentric cyst- 2nd most common